Which of the following phospholipid has antigenic activity:
1. Plasmalogen
2. Cardiolipin
3. Phosphatidyl choline
4. Sphingomyelin

Correct answer: 2. Cardiolipin

Explanation: Cardiolipin Phospholipid Found only in mitochondria. Antigenic (usually phospholipids are not antigenic). Anticardiolipin antibodies are found in APLA Syndrome